Acutehumoral renal transplant rejection is characterized by the following except:
1. Presence of anti-donor antibodies
2. Interstitial and tubular mononuclear cell infiltrate
3. Necrotizing vasculitis
4. Acute cortical necrosis

Correct answer: 2. Interstitial and tubular mononuclear cell infiltrate

Explanation: Ans. (b) Interstitial and tubular mononuclear cell infiltrate(Ref: Robbins 9th/pg 231-234; 8th/pg 221-229)Interstitial and tubular mononuclear cell infiltrate is a feature of acute cellular and chronic rejection.